Electron transport chain is present in
1. Lysosomes
2. Mitochondrial matrix
3. Inner mitochondrial membrane
4. Outer mitochondrial membrane

Correct answer: 3. Inner mitochondrial membrane

Explanation: The Mitochondrial matrix is enclosed by a double membrane. The outer membrane is permeable to most metabolites and the inner membrane is selectively permeable. The outer membrane is characterized by the presence of various enzymes, including acyl-CoA synthetase and glycerophosphate acyltransferase. Other enzymes, including adenylyl kinase and creatine kinase, are found in the intermembrane space. The phospholipid cardiolipin is concentrated in the inner membrane together with the enzymes of the respiratory chain, ATP synthase, and various membrane transporters. Reference: Harper; 30th edition; Page no: 127